KLB another name is -
1. Corynebacterium diphtheriae
2. Corynebacterium pseudodiphtheriae
3. Clostridium tetani
4. Anthrax

Correct answer: 1. Corynebacterium diphtheriae

Explanation: Ans. is `a' i.e., Corynebacterium diphtheriae C. diphtheriae is also known as the Klebs-Loeffler bacillus (KLB).